Enzymes concerned with the citric acid cycle are found in:
1. Nucleus
2. Mitochondria
3. Ribosomes
4. Non-particulate cytoplasm

Correct answer: 2. Mitochondria